In a neonate with asymptomatic hypoglycemia immediate treatment should include which of the following?
1. 100 mg/kg Dextrose
2. 2 mg/kg 10% Dextrose
3. 2 ml/kg 25% Dextrose
4. None

Correct answer: 4. None

Explanation: Ans is 'None' o Immediate treatment in asymptomatic hypoglycemia is trial of oral feeding. Treatment of asymptomatic hypoglycemia o Babies with asymptomatic hypoglycemia are also at risk for developing long term neurodevelopmental sequelae and hence should be urgently treated. o Recommendation: In healthy asymptomatic hypoglycemic infants, initially a feed of measured breast milk can be given by spoon or gavage. If breast milk is not available, then formula milk may be used. Check blood glucose 30-60 min later before next feeding to ensure euglycemia. If repeat blood glucose is above 45 mg/dL, 2-3 hourly feed is ensured with 4-6 hourly monitoring for glucose upto 48 hrs. o IV glucose infusion should be started in babies with asymptomatic hypoglycemia if: (a) Blood glucose is < 25 mg/dL (b) Blood glucose remains below 40 mg/dL despite one attempt of feeding breask milk. (c) Enteral feeding is contraindicated. (d) Baby becomes symptomatic.